Bacteria that Cannot penetrate intact Cornea among the following is
1. Corynebacterium diphtheriae
2. Neisseria gonorrhoea
3. Shigella
4. Pseudomonas

Correct answer: 4. Pseudomonas

Explanation: Bacteria which can penetrate intact Cornea are:

Corynebacterium diphtheriae
Neisseria gonorrhoea
Neisseria meningitidis
Shigella
Haemophilus
Listeria